Red Ribbon Express Project has been launched to promote awareness about which disease?
1. AIDS
2. Malaria
3. Cervical cancer
4. Haemophilia

Correct answer: 1. AIDS

Explanation: NACO launched the Red Ribbon Express to commemorate World AIDS Day. It is a specially designed 8 coach exhibition train that will travel to 22 states covering 152 halt station during its year long journey. Ref: Park 21st edition, page 399. Chapter: Health programmes in India.